Woods lamp examination gives _______ colour to lesions of vitiligo
1. Coral red
2. Green
3. Ivory white
4. Blue

Correct answer: 3. Ivory white